Oudin procedure is a immunodiffusion by
1. Single diffusion in one dimension
2. Double diffusions in one dimention
3. Single diffusion in two dimensions
4. Double diffusions in two dimensions.

Correct answer: 1. Single diffusion in one dimension

Explanation: Single diffusion in one dimension (Oudin Procedure).